True about Incremental or Historic budget is:
1. Baseline expenditure is automatically approved.
2. Does not depend on data of previous budget.
3. Proceeds from target to resource (reverse direction).
4. Not only the changes but every line of the budget must be approved.

Correct answer: 1. Baseline expenditure is automatically approved.

Explanation: PPBS (Planning Programming Budgeting System):